Sequence of CPR is?
1. Basic CPR, ACLS, Defibrillation
2. Basic CPR, Defibrillation, ACLS
3. ACLS, Basic CPR, Defibrillation
4. Defibrillation, ACLS, Basis CPR

Correct answer: 2. Basic CPR, Defibrillation, ACLS

Explanation: Ans. is'b'i.e., Basic CP & Defibrillation, ACLSRef: 2010 International Consensus on Cardiopulmonary Resuscitation and Emergency Cardiovascular Care Science with Treatment Recommendations (CoSTR)Sequence vials : Basic life support (BLS) - Defibrillation -+ Advanced cardiac life support (ACIS).